Mallet finger is a flexion deformity of the distal phalanx, which occurs due to
1. Avulsion fracture of middle phalanx
2. Rupture of collateral slips of extensor expansion
3. Rupture of central slip of extensor expansion
4. Dislocation of distal interphalangeal joint

Correct answer: 2. Rupture of collateral slips of extensor expansion

Explanation: Mallet finger is a flexion deformity of the distal phalanx due to injury to the extensor digitorum at its insertion to the base of the distal phalanx (the collateral slips).